A 31 year old patient of schizophrenia who has been taking antipsychotics for 7 years was taken for ophthalmologic examination. The examination reveals presence of retinal pigmentaion. Which of the following is the antipsychotic patient is most likely to be taking-
1. Chlorpromazine
2. Thioridazine
3. Haloperidol
4. Quetiapine

Correct answer: 2. Thioridazine

Explanation: Thioridazine is the only antipsychotic drug that causes retinal pigmentation, which in advanced cases may resemble retinitis pigmentosa. The deposits are usually associated with "browning" of vision. Thioridazone also causes : Prolongation of QT interval It has minimum EPS amongst typical anti psychotics. Chlorpromazine therapy : Deposits in the anterior portions of the eye (cornea and lens)